Xray showing air column between soft tissue mass and posterior wall of nasopharynx is suggestive of ?
1. Ethmoidal polyp
2. Antrochoanal polyp
3. Nasal myiasis
4. None of the above

Correct answer: 2. Antrochoanal polyp

Explanation: Ans. is b' i.e., Antrochoanal polyp On xray,antrochoanal polyp appears as a soft tissue density and shows a column of air between the soft tissue mass and posterior wall of nasopharynx.